PFOR inhibitor used in angina
1. Nifedipine
2. Trimetazidine
3. Atenolol
4. Fasudil

Correct answer: 2. Trimetazidine

Explanation: Trimetazidine, ranolazine is partial fatty acid oxidation inhibitors used in angina as they prevent free radicle formation and decrease myocardial oxygen demand. Ref: HL Sharma 3rd ed.